All of the following drugs are known for its radio-protective properties, EXCEPT:
1. Glucan
2. Etoposide
3. Amifostine
4. Sodium Selenite

Correct answer: 2. Etoposide

Explanation: Common drugs with radioprotective effects are Amifostine (WR-2721) and Glucan. Sodium Selenite at certain concentrations protects aginst radiation induced mutation. Ref: Complementary Oncology: Adjunctive Methods in The Treatment of Cancer By J. Beuth, Ralph W. Moss Study: Brizel et al 2003, 2007, Page 175; Advances in Radiation Oncology in Lung Cancer By Branislav Jeremic, 2011, Pages 225-226; Forum on Immunomodulators By M. Guenounou, Page 56.